Familial amyloidotic polyneuropathy is due to amyloidosis of nerves caused by deposition of ?
1. Amyloid associated protein
2. Mutant Calcitonin
3. Mutant Transthyretin
4. Normal transthyretin

Correct answer: 3. Mutant Transthyretin

Explanation: Ans. is 'c' i.e., Mutant transthyretinTransthyretin (ATTR) amyloid Transthyretin (TTR) is normal serum protein that binds and transport thyroxine and retinol.oRT TTR can cause following types of amyloidosis : ?1. Mutant TTR : - Mutation in TTR can cause syndrome of familial amyloidotic polyneuropathy or familial amylodotic cardiotnyopathy.2. Wild (non-mutant) TTR : - There is no mutation of TTR and wild type TTR forms fibrils which results in senile systemic amyloidosis (senile cardiac amyloidosis).